Acute intravascular hemolysis can be caused by infection due to all of the following organisms except?
1. Clostridium tetani
2. Bartonella bacilliformis
3. Plasmodium falciparum
4. Babesia microti

Correct answer: 1. Clostridium tetani

Explanation: Ans. is 'a' i.e., Clostridium tetani Organisms associated with hemolysis 1) Organisms that directly parasitize erythrocytes: a) Bartonella species b) Babesia species Plasmodium species 2) Organisms that do not directly parasitize erythrocytes - Clostridium welchii Produces a phospholipase that can release the phosphoryl bond of lecithin thereby lysing human RBCs 3) Other bacterias that can causes hemolysis a) Pneumococci b) Staphylococci c) E. coli